All enveloped RNA viruses belong to one large group except-
1. Influenza
2. Parainfluenza
3. Mumps
4. Herpes

Correct answer: 4. Herpes

Explanation: Ans. is 'd' i.e., Herpes . Influenza, paraintluenza and mumps belong to myxovirus.